Gingival abscess involves
1. Marginal
2. attached
3. inter dental
4. marginal & interdental

Correct answer: 4. marginal & interdental